Parotid glands are supplied by branches from?
1. Internal carotid artery
2. External carotid artery
3. Both of the above
4. None of the above

Correct answer: 2. External carotid artery

Explanation: The arterial supply to the parotid gland is from the external carotid artery and its branches within and near the gland. The veins drain to the external jugular vein local tributaries.